What is false regarding McDonald criteria for diagnosis of MS?
1. Dissemination in space
2. Dissemination in time
3. Neurological disturbance consistent with MS
4. Oligoclonal IgG bands in serum

Correct answer: 4. Oligoclonal IgG bands in serum

Explanation: Ans DThe McDonald Criteria incorporates clinical evaluation with magnetic resonance imaging (MRI) scans in establishing MS:* Evidence of damage to the central nervous system (CNS; the brain, spinal cord and optic nerves) that is "disseminated in time," meaning damage that occurs on different dates;* Evidence of damage "disseminated in space," or found on two or more parts of the CNS.A 2010 revision to the McDonald Criteria (which followed a 2005 update) reflected better understanding of MS and improved MRI techniques and made possible a faster diagnosis -- one that is, for a first time, potentially based on only one demyelinating relapse or attack provided certain criteria are met. These new criteria are dissemination in time, if two lesions are evident at a first attack, and dissemination in both time and space if only one lesion is evident. Oligoclonal bands should be present in CSF and not serum in diagnosis of multiple sclerosis.